Which of the following statements related to gastric injury is not true
1. Mostly related to penetrating trauma
2. Treatment is simple debridement and suturing
3. Blood in stomach is always related to gastric injury
4. Heals well and fast

Correct answer: 3. Blood in stomach is always related to gastric injury

Explanation: A gastric injury is usually related to mostly to penetrating trauma, and it heals well and fast due to increased vascularity.The treatment for gastric injury is mainly simple debridement and suturing.but blood in the stomach is not always indicative of trauma only.it can be due to other reasons also.ABDOMINAL TRAUMA can be * Blunt trauma * Stab injury * Abdominal wall injury Ref: SRB's manual of surgery,3 rd ed, pg no 123